Which of the following represents the clinical presentation of a patient with critical lower limb ischemia?
1. Intermittent Claudication
2. Intermittent Claudication and gangrene
3. Rest pain and ischemic ulcers
4. Intermittent claudication and ischemic ulcers

Correct answer: 3. Rest pain and ischemic ulcers

Explanation: Patient with critical limb ischemia has insufficient perfusion to sustain limb at rest, if left untreated such patients require amputation in 6 months. They experience pain at rest, ulcers and ischemic gangrene. Rest pain is exacerbated when lying supine and is improved by dangling the feet. Narcotics can also relieve the pain. Ref: Noninvasive Cardiovascular Imaging: A Multimodality Approach By Mario J. Garcia, Page 123; Schwartz's Principles of Surgery, 9th Edition, Chapter 23